A 35 year old male presented with nasal discharge, facial pain and fever which subsided with a course of antibiotics and antihistaminics, which recurred again after 2 months. O/E mucopurulent discharge from middle meatus, and inflammed sinus openings, investigation of choice -
1. X-ray PNS
2. NCCT PNS
3. MRI of the face
4. Inferior meatal puncture

Correct answer: 2. NCCT PNS